Blue sclera is seen in -
1. Alkaptonuria
2. Osteogenesis imperfect
3. Down syndrome
4. Kawasaki syndrome

Correct answer: 2. Osteogenesis imperfect

Explanation: Ans. is 'b' i.e., Osteogenesis imperfect * Blue scleral discoloration is caused by thinning or transparency with resultant visualization of the underlying uvea.* Causes of blue sclera are: Osteogenesis imperfecta, Marfan syndrome, Ehler - Danlos syndrome, Pseudoxanthoma elasticum.